A patient has carcinoma of tongue in the right lateral aspect with lymph mode of 4 cm size in level 3 on the left side of neck, what is the stage?
1. N0
2. N1
3. N2
4. N3

Correct answer: 3. N2